Which one of the following drugs does not produce central anticholinergic syndrome?
1. Atropine sulphate
2. Glycopyrrolate
3. Antihistamines
4. Tricyclic antidepressants

Correct answer: 2. Glycopyrrolate